Graft Versus host reaction is mediated by
1. Macrophages
2. T lymphocytes
3. B lymphocytes
4. T lymphocytes and macrophages

Correct answer: 2. T lymphocytes

Explanation: In GVHD, the donated bone marrow or peripheral blood stem cells view the recipient's body as foreign. The donated T cells present in the graft, attack the tissues of the transplant recipient after perceiving host tissues as antigenically foreign. There are two forms of GVHD: Acute graft versus host disease (aGvHD). Chronic graft versus host disease (cGvHD). Ref: Ananthanarayana textbook of Microbiology 9th edition Pgno : 186